Which of the following drug is NOT used to treat Leishmaniasis
1. Cyclosporine
2. Ketoconazole
3. Pentamidine
4. Amphotericin B

Correct answer: 1. Cyclosporine

Explanation: Ans. is 'a' i.e., Cyclosporine